All are seen in ARDS except -
1. Pulmonary edema
2. Hypoxia
3. Hypercapnia
4. Stiff lung

Correct answer: 3. Hypercapnia